Contents of broad ligaments are all except
1. Round ligament
2. Fallopion tube
3. Lymph nodes
4. Ovaries

Correct answer: 4. Ovaries

Explanation: The broad ligament may be divided into three subcomponents: Mesometrium - the mesentery of the uterus; the largest portion of the broad ligament. Mesosalpinx - the mesentery of the Fallopian tube. Mesovarium - the mesentery of the ovaries. Ref - BDC vol2 pg385,390